Demographic gap means:
1. Difference between male and female population
2. Difference between birth rate and death rate
3. Difference between age specific birth rate and age specific death rate
4. Difference between male and female life expectancy

Correct answer: 2. Difference between birth rate and death rate

Explanation: Ans: b (Difference between birth rate and death rate)Demographic gap is the difference between birth rate and death rateNote:Demographic cycle has 5 stages* High stationary* Early expanding* Late expanding* Low stationary* DecliningIndia has entered the third stage that is late expanding stageAge structure of a population is best represented by Age pyramid